Ethosuxamide is the drug of choice for:
1. Generalized Tonic clonic seizures
2. Complex partial seizures
3. Absence seizures
4. Myoclonic seizures

Correct answer: 3. Absence seizures

Explanation: Answer is C (Absence seizures): Ethosuxamide is primary agent for the treatment of Absence seizures (Petitmal). Ethosuxamide is particularly effective in the treatment of absence seizures, but it is not useful for generalized tonic clonic seizures or partial seizures' - Harrisons 17th/ 2509 Ethosuxamide is a primary agent for the treatment of Absence seizures' -Goodman & Gillman Selection of Antiepileptic Drugs: Agents Primary Partial' Absence Atypical Generalized Tonic-Clonic Absence, Myoclonic, Atonic Valproic acid Carbamazepine Valproic acid Valproic acid Lamotrigine Phenytoin Ethosuxamide Lamotrigine First-Line Topiramate Lamotrigine Topiramate Oxcarbazepine Valproic acid Levetirucetamb Lamotrigine Clonazepam Phenytoin Topiramate Clonazepam Felbamate Alternatives Carbamazepine Tiagabineb Oxcarbazepine Zonisamideb Phenobarbital Gabapentin Primidone Phenobarbital Felbamate Primidone 'Includes simple partial, complex partial, and secondarily generalized seizures. bAs adjunctive therapy.